Which of the following statements about Von-Hippel Lindau syndrome is true:
1. Multiple tumors are rarely seen
2. Craniospinal hemangioblastomas are common
3. Supratentorial lesions are common
4. Tumors of Schwann cells are common

Correct answer: 2. Craniospinal hemangioblastomas are common

Explanation: Answer is B (Craniospinal hemangioblastomas are common): Multiple Craniospinal Hemangioblastoma (Infratentorial) are characteristic of Von-Hippel Lindau syndrome.